Which of the following seen in Psoriasis – a) Pautrier's micro abscess b) Micro-munro abscessc) Grenz zoned) Hyperkeratosise) Suprapapillary thinning
1. acd
2. bde
3. abd
4. ade

Correct answer: 2. bde

Explanation: There are two vital pathological process in psoriasis :-


Epidermal proliferation is manifested by : Parakeratosis, Hyperkeratosis, Munro 's microabscess, Acanthosis, Kogoj's micropustule, Elongated rete ridges, Suprapapillary thinning of stratum malpighi, increased mitotic figures in basal keratinocytes.
Dermal inflammation is manifested by : Increased number of dilated turtuous capillaries in dermal papillae, infiltration of lymphocytes in superficial dermis.